Porto-caval anastomosis is seen between -
1. In the rectum: superior rectal vein and inferior rectal vein
2. At the umbilicus: portal vein and accessory hemiazyogs vein
3. At the esophagus: left gastric vein and paraumbilical vein
4. At the liver: portal vein & renal azygos vein

Correct answer: 1. In the rectum: superior rectal vein and inferior rectal vein